Which is not affected in Rh isoimmunization?
1. Anti C
2. Anti E
3. Anti-Lewis
4. Anti D

Correct answer: 3. Anti-Lewis

Explanation: Anti Lewis REF: Fernando arias 3' e p. 359-360 The Lewis antigen doesn't cause erythroblastosis fetalis and differs from all other antigens that they are not synthesized in RBC membrane, but absorbed into it.